Reid's Index is? -
1. Increased in Chronic Bronchitis
2. Decreased in Chronic Bronchitis
3. Increased in Bronchial Asthma
4. Decreased in Bronchial Asthma

Correct answer: 1. Increased in Chronic Bronchitis

Explanation: There is histologic definition of chronic bronchitis by increased Reid index. Reid index is the ratio between thickness of the submucosal mucus glands (i.e. hypertrophy and hyperplasia) in the cartilage-containing large airways to that of the total bronchial wall. TEXTBOOK OF PATHOLOGY 6TH EDITION HARSH MOHAN PAGE NO:478